All the following are criteria for outlet forceps application Except
1. Fetal skull has reached pelvic floor
2. Scalp is visible at the introitus without separating the labia
3. Station is between 0 and +2cm
4. Rotation does not exceed 45degrees

Correct answer: 3. Station is between 0 and +2cm

Explanation: ProcedureCriteriaOutlet ForcepsScalp is visible at the introitus without separating the labiaFetal skull has reached pelvic floorFetal head is at or on perineumRotation does not exceed 45degreesLow ForcepsLeading point of fetal skull is at station >= +2cm, and not on the pelvic floora) Rotation is 45 degrees or lessb) Rotation is greater than 45 degreesMidforcepsStation is between 0 and +2cmHighNot included in classificationReference: William's Obstetrics; 24th edition; Chapter 29; Operative Vaginal Delivery